The sclera is thinnest at
1. Limbus
2. Equator
3. Optic nerve
4. Posterior to attachment of superior rectus

Correct answer: 4. Posterior to attachment of superior rectus

Explanation: The sclera is thickest near the optic nerve, where it is approximately 1 mm in thickness The sclera is thinnest (0.3 mm) posterior to the rectus muscle insertions and thickest (1.0 mm) at the posterior pole near the optic nerve head. Thinnest at the insertion of extraocular muscles (0.3 mm) Reference: khurana 6th edition pg 788